Mifepristone is an antiprogestin agent. All of the following are indications of using mifepristone, EXCEPT:
1. Abortion
2. Cushing's syndrome
3. PPH
4. Cervical ripening

Correct answer: 3. PPH

Explanation: Therapeutic uses of Mifepristone: Termination of early pregnancy Cervical ripening Postcoital contraceptive Once a month contraceptive Induction of labour Cushing's syndrome (because of its anti-glucocorticoid activity) Ref: Essentials of Medical Pharmacology by KD Tripathi, 5th edition, Page 283-284.